Triad of Hematuria, hypertension and edema are a feature of?
1. Acute Glomerulonephritis
2. Acute Pyelonephritis
3. Chronic Glomerulonephritis
4. Renal cell carcinoma

Correct answer: 1. Acute Glomerulonephritis

Explanation: Ans.(a) Acute GlomerulonephritisRef: Robbins 8th ed./ch 14* Acute glomerulonephritis is characterized by kidney vasculitis and resultant GFR reduction. This causes high renin hypertension to develop acutely in a patient & lead to edema . The swelling presents first in Peri-orbital area followed by swelling around genitals and then swelling around the feet.* Acute pyelonephritis is characterized by fever, accelerated heart rate, painful urination, abdominal pain radiating to the back, nausea, and tenderness at the costo-vertebral angle on the affected side* Chronic glomerulonephritis is bilaterally shrunken kidneys.* Renal cell carcinoma is characterized by unilaterally enlarged kidneys, painless Haematuria.